A patient was brought to the ER with non stop talking, singing, uncontrollable behavior and apparent loss of contact with reality. It is diagnosed as a case of acute mania. Which of the following drugs is most suitable for rapid control of his symptoms?
1. Lithium
2. Haloperidol
3. Valproate
4. Diazepam

Correct answer: 2. Haloperidol

Explanation: When the question clearly mentions rapid control of symptoms, antipsychotics are the preferred answer. For rapid control of agitation, and psychosis, usually Parenteral antipsychotics are used. Benzodiazepines can also be used.